Most important side effect of Amphotericin B is
1. Fever and chills
2. Nephrotoxicity
3. Hyperkalemia
4. Anaemia

Correct answer: 2. Nephrotoxicity

Explanation: Ans. is 'b' i.e., Nephrotoxicity Important adverse effects of Amphotericin B:a) Acute reactions - occurs with each infusion and consists of chills, fever, aches and pain due to release of cytokines like TNF a, IL1 and IL6.b) Nephrotoxicity - It is the most important side effect which occurs uniformly and dose related and often manifests as azotemia, reduced GFR, acidosis, hypokalemia. It reverses slowly and often incompletely after stoppage of therapy.c) Anemia due to bone marrow depression which is largely reversible.d) CNS toxicity.